Test used for prolapsed lumbar intervertebral disc is -
1. Active straight leg raising test
2. Lasegue test
3. Thomas test
4. Apley's grinding test

Correct answer: 2. Lasegue test

Explanation: Ans. is 'b' i.e., Lasegue test Clinical examination in PID Forward stooping (bending), twisting or coughing aggravate the pain. The trunk is tilted to one side (sciatic scoliosis or sciatic tilt). Movements of lumbar spine are restricted especially flexion. Straight leg raising (SLR) test is positive, i.e. straight leg raising is possible 40deg or less (AIIMSO4). Lasegue test (a modification of SLR test) is positive.